Weibel-palade bodies are present in:
1. Vascular endothelial cells
2. Warthin finkeldey cells
3. Leydig cells
4. Dendritic cells

Correct answer: 1. Vascular endothelial cells

Explanation: Ans. (a) Vascular endothelial cells(Ref: Weibel ER, (October 1964). J. Cell Biol. 23 (1): 101 -12)Weibel-Palade bodies are the storage granules of endothelial cells. They store and release von Willebrand factor and P-selectin.